Point B in treatment of Ca cervix corresponds to
1. Mackenrodts ligament
2. Obturator Lymph node
3. Isheal tuberosity
4. Round ligament

Correct answer: 2. Obturator Lymph node

Explanation: B i.e. Obturator Lymph node